Pauci immune glomerulonephritis is seen in -
1. After transplant in alports
2. Microscopic polyangiitis
3. Henoch-Schonlein nephritis
4. Lupus

Correct answer: 2. Microscopic polyangiitis

Explanation: Ans. is 'b' i.e., Microscopic polyangitis Rapidly progressive glomerulonephritis may be caused by number of different diseases, some restricted to the kidneys and others systemic.Although no single mechanism can explain all cases, there is little doubt that in most cases, the glomerular injury is immunologically mediatedThus a practical classification divides rapidly progressive glomerulonephritis into three groups on the basis of immunological findings.RAPIDLY PROGRESSIVE GLOMERULONEPHRITISType I RPGN (anti GBM antibody)Type II RPGN (Immunecomplex)Type III RPGN (Pauci immune)IdiopathicGoodpasture syndromeIdiopathicPost infectiousSystemic lupus erythematousHenoch Schonlein purpuraANCA associatedIdiopathicWegener granulomatosisMicroscopic PANMicroscopic polyangitis